Basal ganglia calcification is seen in all of the following except:
1. Hypoparathyroidism
2. Hypothyroidism
3. Hyperpahyroidism
4. Acromegaly

Correct answer: 4. Acromegaly

Explanation: Ans. D: Acromegaly Basal ganglia calcification is seen in: Endocrine-Hypoparathyroidism, hypothyroidism, pseudohypoparathyroidism, secondary hyperparathyroidism Normal Metabolic-Mitochondrial disorders Toxic-Hypoxia, carbon monoxide, lead Chemotherapy/radiation-mineralizing angiopathy most prominent in the basal ganglia.